All of the following are true of chemical burns of the eye except:
1. Acid burns are more serious than the alkali burns
2. Alkalies combine with lipids of cells to form soluble compounds, which produce a condition of softening and gelatinisation
3. Acids cause instant coagulation of all the proteins
4. Symblepharon is a distressing sequelae

Correct answer: 1. Acid burns are more serious than the alkali burns

Explanation: Ans. Acid burns are more serious than the alkali burns